Which of the following causes of gynecomastia is NOT associated with androgen deficiency?
1. Klinefelter's syndrome
2. Kallmann syndrome
3. Cryptorchidism
4. Alcoholic Liver crirrhosis

Correct answer: 4. Alcoholic Liver crirrhosis

Explanation: Estrogen excess results from an increase in the secretion of estradiol by the testicles or by non-testicular tumours, nutritional alterations such as protein and fat deprivation, endocrine disorders (hyperthyroidism, hypothyroidism), and hepatic disease (nonalcoholic and alcoholic cirrhosis).